A 33 year old suffers from blunt trauma to the eye. Fundoscopy shows cherry red spot, the probable diagnosis is -
1. Retinoblastoma
2. Commotio Retinae
3. Optic nerve transection
4. Posterior Vitreous Detachment

Correct answer: 2. Commotio Retinae

Explanation: Ans. is 'b' i.e., Commotio Retinae o Berlin's oedema, also called commotio retinae, occurs in blunt trauma to eye. It manifests as milky white cloudiness involving a considerable area of the posterior pole with a 'cherry-red' spot in the foveal regiono The prognosis is excellent except in case of complications of choroidal rupture, hemorrhage or pigment epithelial damage, but damage to the macula will result in poorer recovery,o The outcome can be worsened in the case of retinal detachment, atrophy or hyperplasia. Visual field defects can occur. In late cases cystoid macular edema sometimes develops which can further lead to macular destructiono Commotio retinae is usually self limiting and there is no treatment as such. It usually resolves in 3-4 weeks.